The most common benign tumour of the orbit is:
1. Optic nerve glioma
2. Meningioma
3. Benign-mixed tumour
4. Haemangioma

Correct answer: 4. Haemangioma

Explanation: Ans. Haemangioma